In normal kidneys, which of the following is true of the osmolarity of renal tubular fluid that flows through the early distal tubule in the region of the macula densa?
1. Usually isotonic compared with plasma
2. Usually hypertonic compared with plasma
3. hypertonic compared with plasma in antidiuresis
4. Usually hypotonic compared with plasma

Correct answer: 4. Usually hypotonic compared with plasma

Explanation: distal tubule, particularly its first part, is in an extension of the thick segment of the ascending limb. It is relatively impermeable to water, and continued removal of the solute in excess of solvent further dilutes the tubular fluid(hypotonic fluid). Ref:- Ganong, pg num:-684